Southern blot is used to visualize
1. RNA
2. DNA
3. Protein
4. Antibody

Correct answer: 2. DNA

Explanation: A Southern blot is a method used in molecular biology for detection of a specific DNA sequence in DNA samples. Southern blotting combines transfer of electrophoresis-separated DNA fragments to a filter membrane and subsequent fragment detection by probe hybridization. Ref-D.M.Vasudevan 7/e p546